Which vitamin deficiency is responsible for Neonatal seizure
1. Pyridoxine
2. Vitamin C
3. Thiamine
4. Cobalamin

Correct answer: 1. Pyridoxine

Explanation: Pyridoxine dependency is the cause of seizure in some children. The only vitamin deficiency known to cause or worsen seizures is a deficiency of vitamin B6 (pyridoxine). This deficiency occurs mainly in newborns and infants and causes seizures that are hard to control. In some cases, the doctor may give the baby the vitamin through an IV while recording the EEG. If the EEG improves dramatically, that shows that there is a B6 deficiency. Some doctors may also try vitamin B6 in older children with difficult-to-control seizures, but there is no solid evidence that it will be helpful. Reference: GHAI Essential pediatrics, 8th edition